Half-life of albumin is
1. 36-48 hours
2. 3-5 days
3. 5-10 days
4. 20 days

Correct answer: 4. 20 days

Explanation: Albumin has a high capacity for binding water (approximately 18 ml/g), an intravasal residence time of approximately 4 h presupposing physiological capillary permeability as well as an in vivo half-life of approximately 18-21 days . Ref: guyton and hall textbook of medical physiology 12 edition page number: 418,419,420